If annual growth rate of a population is 1.5-2%, what number ofyears will be required to double the population?
1. 70-47 years
2. 47-35 years
3. 35-28 years
4. 28-23

Correct answer: 2. 47-35 years

Explanation: Ans. is 'b' i.e. 47-35 years